Drugs causing hypokalemia are : a) Amphotericin B b) Insulin c) Cyclosporine d) Carbenoxolone e) NSAIDs
1. ace
2. ac
3. abd
4. acd

Correct answer: 3. abd